Labia majora is homologous to ______ in a male.
1. Glans penis
2. Scrotum
3. Corpus cavernosa
4. Shaft of penis

Correct answer: 2. Scrotum

Explanation: Ans. B ScrotumRef: D.C. Dutta, 8th ed. pg. 1* Labia majora is homologous to scrotum in male.* Round ligament terminates at upper border of labia majora